Pleura extends beyond thoracic cage on all the following except
1. Root of neck
2. Costovertebral angles
3. Right xiphisternal angle
4. Left xiphisternal angle

Correct answer: 4. Left xiphisternal angle

Explanation: The pleurae descend below the costal margin at three places, at the right xiphocostal angle, and at the right and left costovertebral angles below the twelfth rib behind the upper poles of the kidneys. The latter fact is of surgical importance in the exposure of the kidney. The pleura may be damaged at this site.Ref: BD Chaurasia; volume 1; 6th edition